The most common type of Tracheo - Oesophageal Fistula is
1. Esophageal atresia without tracheosophageal fistula
2. Esophageal atresia with proximal tracheoesophageal fistula
3. Esophageal atresia with distal tracheoesophagea fistula
4. Esophageal atresia with proximal and distal fistula

Correct answer: 3. Esophageal atresia with distal tracheoesophagea fistula

Explanation: Tracheo-oesophageal fistula, associated with VACTER abnormalities.there are 5 types of which their incidences are as follows type A)atresia without fistula( 8.5%) type B)atresia with proximal TOF(1%) type C)atresia with distal TOF(85%) type D)atresia with both proximal and distal TOF(1.5%) type E)no atresia but H type TOF(4%) Ref: SRB's manual of surgery,5th ed, pg no 803